A 4 year child can perform one of the following ?
1. Can hop on single leg for 15 feet
2. Can skip without falling to either side
3. Can stand one feet for 20 seconds
4. All

Correct answer: 1. Can hop on single leg for 15 feet

Explanation: Ans. is 'a' i.e., Can hop on single leg for 15 feet o A child can hop on one foot by 4 years. o A child can skip by the age of 5 years. o A child may stand on one leg for 10 seconds (not for 20 seconds) by 4-5 years. o A child can go down stairs with alternating feet by 4 years